Chemotherapeutic agents in the EMA-CO regimen include all EXCEPT which of the following?
1. Etoposide
2. Mithramycin
3. Actinomycin-D
4. Cyclophosphamide

Correct answer: 2. Mithramycin

Explanation: EMA-CO regimen: * Etoposide * Methotrexate * Actinomycin D * Cyclophosphamide * Oncovin (vincristine).